Following are the indications for salpinography' expect-
1. Infertility
2. Pelvic infections
3. Recurrent abortions
4. Abnormal uterine bleeding

Correct answer: 2. Pelvic infections